The following is the indication of eptifibatide?
1. Angina
2. HIV
3. CCF
4. Hypertension

Correct answer: 1. Angina

Explanation: Eptifibatide and tirofiban are the newer antiplatelet drugs(Glycoprotein IIB/IIIA inhibitors) used in unstable anginaRef: Goodman Gillman 12thed. Pg: 871